Circuit of choice for controlled ventilation ?
1. Magill circuit
2. Type C
3. Type D
4. Type E

Correct answer: 3. Type D

Explanation: Ans. is 'c' i.e., Type D